Bacterial meningitis in children (2 months-12 years of age) is usually due to the following organisms except-
1. Streptococcus penumoniae
2. Neisseria meningitidis
3. Hemophilus influenzae type B
4. Listera monocytogenes

Correct answer: 4. Listera monocytogenes

Explanation: Ans. is 'd' i.e., Listera Monocytogenes Causes of bacterial meningitis in children (2 months - 12 years) Pneumococci Meningococci H. influenzae type B Less common pathogens (infect only when there is alteration in host immune system) ? Pseudomonas Coagulase negative staphylococcus Listeria monocytogenes Staph aureus Salmonella spp.